The viruses causing gastroenteritis are -
1. Rotavirus
2. Norwalk virus
3. Adenovirus
4. All

Correct answer: 4. All

Explanation: Ans. is 'a' i.e., Rotavirus; 'b' i.e., Norwalk virus; 'c' i.e., Adenovirus Virus causng gastroenteritis Rota virus * Norwalk virus Entero virus 1) Corona virus Adeno virus 2) Calci virus